Carcinoma of tongue most commonly occur at:
1. Dorsum
2. Lateral border of anterior 2/3rd
3. Lateral border of posterior 1/3rd
4. Tip

Correct answer: 2. Lateral border of anterior 2/3rd

Explanation: Ans. B: Lateral border of anterior 2/3rd Carcinoma of the tongue is relatively common in India and forms a significant group. The anatomical sites that are frequently involved in mouth cancer include the floor of the mouth, the lateral border of the anterior tongue and the retromolar trigone. Although lesion is either ulcerative or proliferative on an easily visible organ with exceptional mobility,it usually present in late stages. Hence, even though the disease is curable and has a high five years survival rate, presenting in the late stages, reduces five years survival rate. According to Frenzel, though tumor size does not have direct correlation with prognosis, larger tumor size is associated with shorter survival.